ELISA test has sensitivity of 95% and specificity of 95%. Prevalence of HIV carriers is 5%. The predictive value of positive test is-
1. 95%
2. 50%
3. 100%
4. 75%

Correct answer: 2. 50%

Explanation: Ans. is 'b' i.e., 50%